A 6 months old infant had itchy erythematous papules and exudative lesions on the scalp, face, groin and axillae for one month. She also had vesicular lesions on the palms. What is the most likely diagnosis
1. Psoriasis
2. Scabies
3. Congenital syphilis
4. Seborrheic dermatitis

Correct answer: 2. Scabies

Explanation: Scabies * Female itch mite, Sarcoptes scabiei var. hominis * Presents with intense pruritus (worse at night) with symmetric papules, vesicles or indurated nodules typically involving interdigital web spaces, volar wrists, axillae, postauricular areas, ankles, waist, buttocks, waistband area, and genital area; +- visible burrows: gray-white thread-like lesions over finger web spaces . * Unlike adults, infants with scalp/face involvement. Diagnosis:- mineral oil scraping from burrow Treatment:- Topical scabicide, but pruritus can persist 2-4 weeks after treatment (post-scabietic pruritus). Ref:- Sima Jain; pg num:-244 Neena khanna; pg num:-344